32 year old male presents at Infertility clinic with history of azoospermia on semen analysis. His serum FSH is increased and testosterone levels are decreased. Where is site of block in this case?
1. Testicular
2. Post-testicular
3. Hypothalamus
4. Pituitary

Correct answer: 1. Testicular

Explanation: Site of Block


Hormones







Testicular
Post-testicular
Hypothalamus
Pituitary


FSH↑. Testosterone ↓
FSH normal, Testosterone Normal
FSH↓, Testosterone↓
FSH↓, Testosterone↓